Cardiac myxoma most common seen in?
1. Right Atrium
2. Right Ventricle
3. Left Atrium
4. Left Ventricle

Correct answer: 3. Left Atrium

Explanation: Ans. is 'c' i.e., Left AtriumCardiac myxomaThis is the most common primary tumor of heart.It is more common in females. The most common location is left atrium, with left to right ratio (4:1).The region of fossa ovalis in the atrial septum is the favoured site of origin.These are gelatinous structures consisting of myxoma cells (lepidic) cells, endothelial cells, and smooth muscle cells embedded in a stroma rich in glycosaminoglycans (mucopolysaccharide).